Semicircular canal respond to :
1. Linear acceleration
2. Angular acceleration
3. gravity
4. Touch

Correct answer: 2. Angular acceleration

Explanation: Ans. is 'b' i.e. Angular acceleration Vestibular apparatus consists of:Semicircular canalsUtricle & sacculeAngular acceleration is sensed by- Semicircular canals*Linear acceleration -utricles and saccules*Horizontal linear acceleration -utricle*Vertical linear acceleration -saccules*Gravity is sensed by- utricles & saccules*Position of head in space is sensed by -utricle & saccules*